Positive predictive value depends on all except -
1. Sensitivity
2. Specificity
3. Prevalence
4. Incidence

Correct answer: 4. Incidence

Explanation: Ans. is 'd' i.e., Incidence o Positive predictive value (PPV) of a screening test depends on : -SensitivitySpecificityPrevalence of diseaseo As the sensitivity and specificity of a test are relatively constant, positive predictive value is mainly dependent on the prevelance of disease.PPV =Sensitivity x Prevalence------------------------(sensitivity x prevalence) + (100-spcificity) (100-prevalence)X100